OCP's are contraindicated in A/E :
1. Smoking 35 years
2. Coronary occlusion
3. Polycystic ovarian ds
4. Cerebro vascular ds

Correct answer: 3. Polycystic ovarian ds

Explanation: Ans. is c i.e. Polycystic ovarian disease